You are the dermatology resident of a hospital and you find that one of your patients with syphilis is about to enter a common swimming pool, you try to take him out of it but he refused and tried to enter the pool. You notified the attendant who prevented him from entering the swimming pool. In this scenario you may be found guilty of:
1. Criminal negligence
2. Civil negligence
3. Breach of professional secrecy
4. None

Correct answer: 4. None

Explanation: Here the doctor cannot be found guilty of breach of professional secrecy as the doctor acted in the interest of the public. The very fact that he was forced to act in the interest of the public community provides him with immunity. Also know: S.27 DIPC - Malignant act likely to spread infectious disease dangerous to life is punishable with imprisonment upto 2 years. Ref: Textbook of Forensic Medicine and Toxicology by Narayan Reddy, Edition 21, Page - 27, 28.